Which of the following diseases of the skin is the most
likely to be associated with partial anodontia?
1. erythema multiformae
2. hereditary ectodermal dysplasia
3. keratosis follicularits
4. lichen Onus

Correct answer: 2. hereditary ectodermal dysplasia

Explanation: Ectodermal dysplasia is characterized by congenital dysplasia of ectodermaL structures, manifested as hypohidrosis (partial or complete absence of sweat glands) hypotrichosis and hypodontia or partial anodontia.
Two types

Hypohidrotic (Christ-Siemens-Touraine syndrome) most common type and includes dental manifestations.
Hidrotic (Clouston syndrome)- no specific dental defects are seen.